Platelets are stored at
1. 5°C for 1 month
2. 20-24°C for 5 days
3. -4°C for 3 months
4. 20-24°C for 3 days

Correct answer: 2. 20-24°C for 5 days

Explanation: Platelets are stored at 20 – 24 degree Celsius with agitation. They can only be stored for 5 days.
Whole blood and packed red cells are stored at 2 – 6 degree Celsius for 35 days.
The anticoagulants which are used for their storage are either CPD (Citrate, Phosphate, Dextrose) or CPDA (Citrate, Phosphate, Dextrose, Adenine).
Fresh frozen plasma is stored at –18 degree Celsius for 1 year.